A patient was surgically treated for bilateral pheochromocytoma. He has started developing gait abnormality hence MRI head was done. What is the probable diagnosis?
1. Autoimmune polyglandular syndrome
2. Multiple endocrine neoplasia type 3
3. Multiple endocrine neoplasia type 4
4. Von Hippel Landau Syndrome

Correct answer: 4. Von Hippel Landau Syndrome

Explanation: Bilateral pheochromocytoma with presence of CNS cerebellar hemangioblastomas is suggestive of diagnosis of Von Hippel Landau Syndrome (VHL). It is an Autosomal dominant disorder that predisposes to: Retinal and cerebellar hemangioblastoma. RCC Pancreatic neuroendocrine disorders. Endolymphatic sac tumours. Multiple pancreatic and renal cysts.